Most preferable graft for mandibular reconstruction:
1. Graft from anterior illiac crest.
2. Costochondral graft.
3. Fibula graft
4. Any of the above.

Correct answer: 3. Fibula graft